Mycobacterium leprae can be cultured in:
1. Testes of guinea pig
2. LJ medium
3. Footpad of mice
4. Testes of albino rats

Correct answer: 3. Footpad of mice

Explanation: Ans. C: Footpad of mice In 1960 the American Charles Shepard discovered that it is possible to culture the bacterium in the footpads of mice (average 20 degree C). In 1971 Waldeman Kirchheimer and Eleanor Storrs discovered that the nine-banded armadillo, Dasypus novemcinctus, could also become infected. This species was selected because it has a low body temperature (approximately 34 degree C) and a primitive immune system. The animal develops a generalised infection with involvement of the internal organs, especially the liver and spleen.